Massive transfusion can cause hemorrhage in a previously healthy adult due to
1. Dilutional thrombocytopenia
2. Vitamin K deficiency
3. Increased tPA
4. Increased hemoglobin

Correct answer: 1. Dilutional thrombocytopenia

Explanation: Complications of Massive transfusion Massive transfusion cam lead to coagulapathy and metabolic complications Most common cause of death after massive transfusion : Dilutional Coagulopathy or DIC Transfusion of 15-20 units of blood components causes Dilutional thrombocytopenia After massive transfusion initially transient hyperglycemia due to glucose in preservatives leading to insulin release and causing hypoglycemia (MC) Galvimetric method of estimation of blood loss : Blood loss during operation is measured by weighing the swabs after use & subtracting the dry weight plus volume of blood collected in suction or drainage Metabolic complications of Massive transfusion General Fluid overload Hypothermia Impaired oxygen delivery capacity of Hb (decreased 2,3-DPG). Electrolyte Hyperkalemia Hypocalcemia Hypomagnesemia Metabolic alkalosis Metabolic acidosis (rare) Ref: Harrison's 19th edition Pgno :138